Hypophosphatemia is seen in:
1. Pseudohypoparathyroidism
2. Hyperparathyroidism
3. Hyperthyroidism
4. Hypoparathyroidism

Correct answer: 2. Hyperparathyroidism

Explanation: Answer is B (Hyperparathyroidism): Hyperparathyroidism is typically associated with hypophosphatemia. Primary Hyperparathyroidism is associated with Hypophosphatemia and Hypercalcemia while Secondary Hyperparathyroidism is associated with Hypophosphatemia and Hypocalcemia. Hyperthyroidism is typical associated with normal phosphate levels Hypoparathyroidism and Pseudohypoparathyroidism are associated with Hyperphosphatemia